Which of the following is true regarding pulp component of PUFA?
1. Detected without use of probe
2. Pus drainage with swelling
3. Sinus tract detected with pain
4. Ulceration with pulp involvement

Correct answer: 1. Detected without use of probe

Explanation: PUFA index by Monse et al (2010)
The PUFA index records the presence of severely decayed teeth with:

Visible pulpal involvement - (P/p)
Ulceration caused by dislocated tooth fragments - (U/u)
Fistula - (F/f)  
Abscess - (A/a).

Pediatric Dentistry Principles and Practice
M.S.Muthu